Gland homologous to prostate in females is?
1. Gartner's gland
2. Skene's gland
3. Bartholin's gland
4. Cowper's gland

Correct answer: 2. Skene's gland

Explanation: Ans. B. Skene's glandIn female human anatomy, Skene's glands or the Skene glands known as the lesser vestibular glands, paraurethral glands, or homologous femaleprostate are glands located on the anterior wall of thevagina, around the lower end of the urethra.